The most common cause of intermittent exophthalmos is:
1. Orbital varices
2. Cavernous haemangioma
3. Lymphangioma
4. Carotico-cavernous fistula

Correct answer: 1. Orbital varices

Explanation: Ans. Orbital varices